Both antibody dependent and independent complement pathway converge on which complement component?
1. C3
2. C1q
3. C8
4. C1r

Correct answer: 1. C3